Most common cause of death in amyotropic lateral sclerosis is
1. Cardiac failure
2. Respiratory failure
3. Renal failure
4. Liver failure

Correct answer: 2. Respiratory failure

Explanation: Answer-B. Respiratory failureAmyotrophic lateral sclerosis (ALS) is the most cornmon form of progressive motor neuron disease. It is a prime example of a neurodegenerative disease and is arguably the most devastating ofthe neurodegenerative disorders.Respiratory failure is the leading cause of death in amyotrophic lateral sclerosis, and terminal dysnoea is a major fear in patients with amyotrophic lateral sclerosis.